Median nerve lesion at the wrist causes all of the following.except -
1. Thenar atrophy
2. Weakness of Adductor poliicis
3. Weaknes of 151 and 2nd lumbricals
4. Weakness of Flexor poliicis brevis

Correct answer: 2. Weakness of Adductor poliicis

Explanation: Ans. is 'b' i.e., Weakness of Adductor poll ids o Adductor pollicis is supplied by ulnar nerve.o Pronation of the forearm is by two muscles pronator teres and pronator quadratus. These two muscles are supplied by median nerve. Thus injury to median nerve produces inability to pronate forearm,o The median nerve is also called labourer's nerve. The median nerve arises by two roots, one from the lateral cord (C5,6,7) and the other from the medial cord (C8, Tl). The various muscles supplied by median nerve are : -1) In the forearm# All the flexor muscles of the forearm, except the flexor carpi ulnaris and the medial half of flexor digitorum profundus to the ulnar twro fingers. These muscles are r -i) Pronater teresii) Flexor carpi radialisiii) Pulmaris longusiv) Flexor digitorum superficialv) Flexor digitorum profundus (lateral half)vi) Flexor pollicis longusvii) Pronator quadratics2) In hand# Median nerve supplies : -Thenar muscles (except adductor pollicis) : - Flexor pollicis brevis, opponens pollicis and abductor pollicis brevis. Adductor pollicis is supplied by ulnar nerve.First two Jumbricalso Sensory supply by medial nerve is: -Lateral two thirds of palm Lateral three & halffingers on palmar side and distal phalanx of lateral three & half digits on dorsal side.